All of the following are true about varicella Except
1. Period of communicability is 2 days after rash
2. All stages of rash are seen at the same time
3. Secondary attack rate is 90%
4. Rash commonly seen in flexor area

Correct answer: 1. Period of communicability is 2 days after rash

Explanation: - Period of communicability is 1 to 2 days before the appearance of rash and 4 to 5 days thereafter.- Incubation period 14-16 days (10-21)- The second attack rate in household contacts approaches 90%- In 10-30% may reactivate resulting in herpes zosterPark 23e pg: 144